Optic atrophy may occur in all, except:
1. Glaucoma
2. Leprosy
3. Pituitary tumor
4. Methanol intake

Correct answer: 2. Leprosy

Explanation: Leprosy